Elements of primary health care includes all of the following except
1. Adequate supply of safe water and basic sanitation
2. Providing essential drugs
3. Sound referral system
4. Health education

Correct answer: 3. Sound referral system

Explanation: Primary health care: DEFINITION: Essential health care, based on practically , scientifically sound, and socially acceptable methods and technology,made universally accessible to individuals and families in the community, through their full participation and at a cost that the community and country can afford Ref: Park 25th edition Pgno : 951